A 60-year-old man with diabetes mellitus complains of deep burning pain and sensitivity to touch over his hands and fingers. Nerve conduction studies show slow transmission of impulses and diminished muscle stretch reflexes in ankles and knees. Sensations to vibrations and light touch are also markedly diminished. The development of polyneuropathy in this patient correlates best with which of the following conditions?
1. Anti-insulin antibody titer
2. Hyperglycemia
3. Insulin deficiency
4. Intermittent hypoglycemia

Correct answer: 2. Hyperglycemia

Explanation: - Given clinical features suggests the diagnosis of Diabetic neuropathy - Severity & chronicity of hyperglycemia in both T1DM & T2DM are major pathogenic factors leading to microvascular complications of diabetes, including retinopathy, nephropathy & neuropathy. - Glucose binds non-enzymatically to several proteins in body depending on severity of hyperglycemia leading to complications. - Thus, control of blood glucose remains major factor to prevent diabetic complications.